Erythrocyte Sedimentation Rate is zero in -
1. Abetalipoproteinemia
2. Afibrinogenemia
3. Asplenia
4. Aplastic anemia

Correct answer: 2. Afibrinogenemia